A 50-year-old woman is brought to the emergency department unconscious following a motor vehicle accident. She is placed on telemetry to monitor her vitals continuously, and she remains hypotensive despite receiving a bolus of fluids and being placed on IV fluids. She regains consciousness and her pulse is 180/mm. Her ECG shows regularly spaced narrow, QRS complexes. No P wave is visible in most leads, but there is a small downward deflection immediately following QRS complexes in lead II. A carotid massage is performed, and her pulse is reduced to 80/rn in. 
Stimulation of the afferent fibres in which of the following nerves most likely resulted in the favourable response observed?
1. Cardiac sympathetic nerves
2. Carotid sympathetic nerves
3. Glossopharyngeal nerve
4. Hypoglossal nerve

Correct answer: 3. Glossopharyngeal nerve